The basic tools of measurement in epidemiology are
1. Incidence, prevalence and index
2. Morbidity, mortality and disability
3. Rates, ratios and proportions
4. Endemic, pandemic and epidemic

Correct answer: 3. Rates, ratios and proportions